A 8-year old boy presented with swelling on both
sides of the face, below the ears of 4 days duration.
It first started on the left side and then 3 days 
later on the right side

Immunization to this disease can be achieved by the following vaccination
1. MMR
2. BCG
3. Hepatitis B
4. Polio

Correct answer: 1. MMR